Straddle fracture is
1. Shoulder fracture
2. Wrist fracture
3. Pelvis fracture
4. Ankle fracture

Correct answer: 3. Pelvis fracture